True about Plummer-Vinson syndrome
1. Web is M/C in mid esophagus
2. Web is M/C in lower esophagus
3. Web is M/C in postcricoid region
4. None of the above

Correct answer: 3. Web is M/C in postcricoid region

Explanation: PLUMMER-VINSON SYNDROME:- In Plummer-Vinson syndrome patients present with dysphagia due to web in the postcricoid region and due to incoordinated swallowing secondary to esophageal spasm. Text book of ENT Mohan Bansal; pg num:- 461